Leaden paralysis is seen in
1. Severe depression
2. Melancholic depression
3. Atypical depression
4. Narcolepsy

Correct answer: 3. Atypical depression

Explanation: Leaden paralysis is extreme heaviness in arms & legs and patient will be lying like a "log of wood", seen in Atypical depression.